Which inhibits adenyl cyclase enzyme?
1. Somatostatin
2. Calcitonin
3. Epinephrine
4. Thyroxine

Correct answer: 1. Somatostatin

Explanation: Somatostatin acts directly on the acid-producing parietal cells a G-protein coupled receptor which inhibits adenylate cyclase, thus effectively antagonising the stimulatory effect of histamine to reduce acid secretion.Ref: DM Vasudevan, 7th edition